Most common type of Hiatal hernia is
1. Sliding
2. Rolling
3. Mixed
4. None of the above

Correct answer: 1. Sliding

Explanation: Ans. is 'a' i.e., Sliding * Hiatal hernia is characterized by separation of the diaphragmatic crura and protrusion of the stomach into the thorax through the resulting gap.* There are 4 types of hiatal herniaType I: Sliding hernia (most common type ~ 70 - 80%)Type II: Paraesophageal or rolling herniaType III: MixedType IV: Tese hernias are distinguished by the presence of other abdominal viscera wihin the defect i.e. omentum, transverse colon.